For doing ABG, which of the following is used?
1. Whole blood
2. Plasma
3. RBC
4. Serum

Correct answer: 1. Whole blood

Explanation: Ans: a: (Whole blood)Whole arterial blood is taken for ABG.